On mammogram all of the following are the features of a malignant tumor except –
1. Spiculation
2. Microcalcification
3. Macrocalcification
4. Irregular mass

Correct answer: 3. Macrocalcification